Accidental choking of respiratory passage by a bolus of food is known as
1. Gaging
2. Overlying
3. Café coronary
4. Burking

Correct answer: 3. Café coronary

Explanation: Cafe coronary is a condition in which a healthy but grossly intoxicated person who begins a meal suddenly turns blue, coughs violently, then collapses and dies. 
Death appears to be due to a sudden heart attack. At autopsy, a large piece of poorly chewed food may be found obstructing the larynx.